Receptors that are stimulated by a change in the chemical composition of the environment are:
1. Mechanoreceptors
2. Chemoreceptors
3. Nocireceptors
4. None of the above

Correct answer: 2. Chemoreceptors

Explanation: Chemoreceptors are those receptors that are stimulated by a change in the chemical composition of the environment. They include receptors for taste and smell and visceral receptors that are sensitive to change in plasma O2, pH and osmolality.